All of the following are manifestations of vitamin E deficiency, except:
1. Hemolytic anemia
2. Cerebellar ataxia
3. Autonomic dysfunction
4. Posterior column abnormalities

Correct answer: 3. Autonomic dysfunction

Explanation: Symptoms of vitamin E deficiency develops several years after the onset of deficiency. These patients can develop spinocerebellar ataxia, polyneuropathy, posterior column dysfunction, polyneuropathy, ophthalmoplegia, pigmented retinopathy, night blindness, dysarthria, pseudoathetosis, dystonia, hemolytic anemia and tremors. Autonomic dysfunction is not associated with vitamin Edeficiency. Ref: Harrison's Internal Medicine, 18th Edition, Chapter 384